Hers disease is due to deficiency of:
1. Liver phosphorylase
2. Muscle phosphorylase
3. Branching enzyme
4. RBC phosphofructokinase

Correct answer: 1. Liver phosphorylase

Explanation: Hers disease:due to deficiency of liver phosphorylase benign course and present with hepatomegaly and growth retardation in early childhood; Hypoglycemia, hyperlipidemia, and hyperketosis of variable severity are seen.